True regarding estimation of Prothrombin time is:
1. Immediately refrigerate to preserve factor viability
2. Platelet rich plasma is essential
3. Run the test within 2 hours
4. Activated with Kaolin

Correct answer: 3. Run the test within 2 hours

Explanation: . Run the test within 2 hours